Cobra head deformity is seen in
1. Ureterocele
2. Ureteric fistula
3. Retrocaval ureter
4. Urethral stricture

Correct answer: 1. Ureterocele

Explanation: Ureterocoele due to distal ureter dilation looks like cobra head.